Diagnostic power of the test is reflected by
1. Sensitivity
2. Specificity
3. Predictive value
4. Population Attributable risk

Correct answer: 3. Predictive value

Explanation: The performance of a screening test is measured by its predictive value which reflects the diagnostic power of the test.The predictive accuracy depends upon sensitivity, specificity and disease prevalence. Park 23e pg: 140